About direct standardization all are true except -
1. Age specific death rate is not needed
2. A standard population is needed
3. Population should be comparable
4. Two populations are compared

Correct answer: 1. Age specific death rate is not needed